All of the following are used in the initial management of acute life threatening cardiogenic pulmonary edema except
1. Digoxin
2. Morphine
3. Furosemide
4. Positive pressure ventilation

Correct answer: 1. Digoxin

Explanation: Ref Harrison 19 th ed pg 1763 Digoxin has no definitive role in the management of acute pulmonary oedema.